The labiodental sounds are
1. f,v,ph
2. s,z,c
3. f,z,s
4. f,v,z

Correct answer: 1. f,v,ph